Injury to the ulnar nerve in the elbow results in
1. Total claw hand
2. Paralysis of all interossei
3. Complete paralysis of flexor digitorum profundus
4. Paralysis of all lumbricals

Correct answer: 2. Paralysis of all interossei

Explanation: All interossei - Dorsal and Palmar are supplied by ulnar nerve. Dorsal interossei have the function of Abduction Palmar interossei have the function of Adduction. Ref : Gray's Anatomy The Anatomical Basics of Clinical Practice 41 e pg 784.